Which of the following contains primer and bonding agent in a single bottle and is known as "single component system"
1. 3rd generation
2. 4th generation
3. 5th generation
4. 6th generation

Correct answer: 3. 5th generation